Which type diabetes is HLA associated-
1. Type I diabetes
2. Type II diabetes
3. Malnutrition related type disease
4. Pregnancy related type diabetes

Correct answer: 1. Type I diabetes

Explanation: The major susceptibility gene for type 1 DM is located in the HLA region on chromosome 6. Polymorphisms in the HLA complex account for 40-50% of the genetic risk of developing type 1 DM. Most individuals with type 1 DM have the HLA DR3 and/or DR4 haplotype. Refinements in genotyping of HLA loci have shown that the haplotypes DQA1*0301, DQB1*0302, and DQB1*0201 are most strongly associated with type 1 DM. Reference : page 2403 Harrison's Principles of Internal Medicine 19th edition